Frenkel's skin test is positive in-
1. Spinal cord compression
2. Toxoplasmosis
3. Pemphigus
4. Pemphigoid

Correct answer: 2. Toxoplasmosis